Declaration of Helsinki is about:
1. Organ transplantation
2. Human experimentation
3. Torture
4. Physician's oath

Correct answer: 2. Human experimentation

Explanation: Ans. Human experimentation